All are true about Janani Shishu Suraksha Karyakram (JSSK) except:
1. Free diet to mother during hospital stay
2. Free delivery
3. Free transport from home to hospital and back
4. Free treatment of children up to 18 years age

Correct answer: 4. Free treatment of children up to 18 years age

Explanation: Pregnant women components in janani shishu suraksha karyakram: Free deliveries in public health institutions. Free drug and consumables. Free diet. Free diagnostics. Free blood transfusion. Free transport from home to institution. Child health components in Janani Shishu Suraksha Karyakram: - Initially meant for upto 30 days age then expanded to include Sick infants; Nutritional rehabilitation centres.(NRCs) Free drugs , diagnostics, blood transfusions. Integrated management of neonatal and childhood illnesses. (IMNCI) Facility based newborn care: NBCC, NBSU, SNCU. Home based NB Care. - Also remember, Navjat Shishu Suraksha Karyakram is to train health personnel in new born care & resuscitation to improve delivery of care to newborn at every step.